Not seen in hypervitaniinosis A:
1. Alopecia
2. Polyuria
3. Pseudotumor cerebri
4. Hyperlipidemia

Correct answer: 2. Polyuria

Explanation: Ans: B (Polyuria) Ref: Harrison's Principles of Internal Medicine, 18th ed.Explanation:Polyuria is characteristically seen in chronic Hypervitaniinosis I)Seen in normal adults who ingest 15 mg/d and children who ingest 6 mg/d of vitamin A over a period of several months.Effects of Hypervitaniinosis AAngular cheilitisGlossitisVomitingBone demineralizationPainHypercalcemiaLymph node enlargementHyperlipidemiaAmenorrheaPseudotumor cerebri with increased intracranial pressure and papilledema.Liver fibrosis with portal hypertension Coarse hone growthsExcessive skin dryness/peeling (desquamation)AlopeciaIntracranial hypertensionLiver problemsPremature epiphyseal closureReduced bone mineral density that may result in osteoporosisSkin discolorationNote: When vitamin A is provided in excess to pregnant women, congenital malformations (teratogenic effect) have included spontaneous abortions, craniofacial abnormalities, and valvular heart disease.